Drugs use for Prophylaxis of migraine include the following except?
1. Sumitriptan
2. Valproate
3. Serotonergic drugs
4. TCAs

Correct answer: 1. Sumitriptan

Explanation: *TCA,beta blockers ,calcium channel blockers, valproate,topiramate , used for prophylaxis of migraine *Sumatriptan used for treatment of acute attack of migraine . Ref Harrison20th edition pg 2456